Chromium added to steel does not
1. Increase hardness
2. Increase tensile strength
3. Increase corrosion resistance
4. Decrease elastic limit

Correct answer: 4. Decrease elastic limit

Explanation: Chromium forms a very thin, transparent, adherent layer of Cr2O3 through a process called passivation, which provides a barrier to diffusion of oxygen and other corrosive species and it prevents further corrosion of the underlying alloy.
Ref: Phillip’s 12th edition page 127.